Localised langerhans cells histiocytosis affecting head & neck is -
1. Letterer-siwe disease
2. Pulmonary langerhans cell histiocytosis
3. Hand-schuller-christian disease
4. Eosinophilic granuloma

Correct answer: 4. Eosinophilic granuloma

Explanation: Unifocal and multifocal unisystem Langerhans cell histiocytosis(eosinophilic granuloma)is characterised by proliferation of Langerhans cells admixed with variable number of eosinophils , lymphocytes , plasma cell, and neutrophils .Eosinophils are usually , but not always a prominent component of the infiltrate .It typically arises within the medullary cavities of bones, most commonly the calvarium, ribs and femur. ref: Robbins pathologic basis of disease ; 8th edition ; pg 632